A 50 years old male with type 2 diabetes mellitus is found to have 24 hour urinary albumin of 250 mg. Which of the following drugs may he used to retard progression of renal disease?
1. Hydrochlorthiazide
2. EnaIapril
3. Amiloride
4. Aspirin

Correct answer: 2. EnaIapril

Explanation: ACE inhibitors like lisinopril, perindopril, ramipril and ARBs like losartan, telmisartan could decrease the incidence of diabetic nephropathy by decreasing protein levels in the urine especially albumin They r DOC for diabetes with HTN. Ref: KD Tripathi 8th ed.